The slain lesions of secondary syphilis include all of the following except –
1. Macules
2. Vesicles & Bullae
3. Nodule
4. Papulosquamous

Correct answer: 2. Vesicles & Bullae

Explanation: Vesicle and bullae are seen in congenital syphilis (not in secondary syphilis).